Type VI Rang's injury indudes -
1. Transverse fracture of metaphysis with longitudinal extension into physis
2. Open injury with loss of physis
3. Thurston Holland's sign
4. Perichondrial ring injury

Correct answer: 4. Perichondrial ring injury

Explanation: Type VI physeal injury (Rang's type) : There is a peripheral physis (perichondrial ring) injury.